All are true about nitric oxide except
1. Acts through cAMP
2. Helps to regulate vascular tone
3. Important role in penile erection
4. Present in low concentration in cigarette smokers

Correct answer: 1. Acts through cAMP

Explanation: NO acts through guanylyl cyclase.Ref: Ganong&;sReview of medical physiology, 24th edition.Pg no. 151